Lymphatic drainage of cervix is to
1. Iliac lymph nodes
2. Para aortic lymph nodes
3. Superficial inguinal lymph nodes
4. Deep inguinal lymph nodes

Correct answer: 1. Iliac lymph nodes

Explanation: A. i.e. Iliac lymph nodes